Contraindication of using a bar type direct retainer is:
1. Used on a distobuccal on terminal abutments
2. When aesthetics demand less display of metal
3. When a push type of retention is needed
4. When a large tissue undercut is present

Correct answer: 4. When a large tissue undercut is present

Explanation: Gingivally approaching clasps (e.g. bar clasp) is contraindicated in severe soft tissue (gingival) undercut.
In such cases, occlusally approaching clasp configurations are more suitable.